All are true state statements about malignant hyperthermia except
1. Autosomal dominant condition
2. TIVA safe in Malignant Hyperthermia
3. Malignant hyperthermia is hyp,ermetabolic state with Elevated end tidal CO2,Tachypnea, or tachycardia, Masseter spasm if succinycholine used & Gen muscle rigidity
4. Oral DANTROLENE is drug of choice

Correct answer: 4. Oral DANTROLENE is drug of choice

Explanation: Dantrolene sodiumis thedrug of choicefor malignant hyperthermia but it is to be reconstituted withsterile distilled water, not saline as it can precipitate in saline or other salt solutions. It is given at a dose of2.5 mg/ kgintravenously and can be repeated every 5-10 minutes (upto 10mg/kg) till the attack subsides. Dentrolene dsoe should be repeated atleast every 10-15 hours Total dose can be upto 30mg per kg Recrudescence of MH can approach 50% within 6.5 hours All anesthetic agents should be cut off and the patient is given 100% oxygen. Bicarbonate at a dose of 1 to 4 mEq/kg IV can be used to treat metabolic acidosis. If the body temperature is high, it should be brought down using cold intravenous fluids, cooling body cavities with sterile iced fluids, surface cooling with ice packs and cooling blankets. Cooling should be stopped once temperature is 38 deg celcius